Inferior Gluteal Nerve Supplies
1. Gluteus Maximus
2. Gluteus Medius
3. Gluteus Minimus
4. Tensor Fascia Lata

Correct answer: 1. Gluteus Maximus

Explanation: INFERIOR GLUTEAL NERVE :Root value: L5, SI, S2Course: Enters the gluteal region through greater sciatic notch below piriformis muscle Branches: It gives a number of branches to gluteus maximus muscle only. It is the sole supplier to the large antigravity, postural muscle with red fibers, responsible for extending the hip joint.Reference: Chaurasia Volume II; 7th edition; Page no: 73